Nerve supply for external ear are all except -
1. Greater occipital nerve
2. Greater auricular nerve
3. Auriculotemporal nerve
4. Lesser occipital nerve

Correct answer: 1. Greater occipital nerve